What is the best way to control external hemorrhage?
1. Direct pressure
2. Elevation
3. Proximal tourniquet
4. Artery forceps

Correct answer: 1. Direct pressure

Explanation: External bleeding is best controlled by direct digital pressure Direct pressure assists in the process of coagulation by slowing the flow of blood out of the vessels and giving clot time to form. To be effective, direct pressure must be at least equal to the pressure of the blood attempting to escape. Arterial bleeding is often difficult to control and may require upto 5 minutes of firm direct pressure to be successful.